Virchow's Triad that predisposes to DVT consists of all the following except -
1. Hypercoagubility
2. Endothelial injury
3. Increased turbulence of blood flow
4. Increased platelet count

Correct answer: 4. Increased platelet count

Explanation: Ans. is 'd' i.e., Increased platelet count Virchow's triado Hypercoagubilityo Changes in blood flowo Changes in vessel wallSome other important triads commonly askedo Charcots triad*(Seen in cholangitis)Jaundice, Pain & Fevero Virchows triad*(etiology of venous thromobosis)Changes in blood flow, Changes in vessel wall, Hypercoagulabilityo Hutchisons triad*(in congenital syphillis)Hutchisons teeth (notched upper incisors) Interstitial keratitis, Nerve deafness.o Triad of Alport syndrome*Progressive renal failure, Sensory neural deafness, Ocular anomalies.o Triad of Kwashiorkar*Oedema, Growth retardationMental changes (apathy, listlessness lethargy)o Triad of Behcet's syndrome*(+ skin lesions make a tetrad)Recurrent oral ulcers, Genital ulcers, Iridocyclitiso Whipples triad*(Seen in Insulinoma)Symptoms of Hypoglycemia,Serum glucose < 45 mg/dl, Relief with ingestion of glucose.o Triad of Hypernephromao Trotters triad*(in Nasopharyngeal ca*)Hematuria, Pain, Renal massConductive deafness, Immobility of homolateral softpalate, Trigeminal neuralgiao Gradenigo's triad* (in petrosits)*VI C.N. palsydeep seated retroorbital pain, Persistant ear discharge